'Canker sore' is otherwise commonly known as
1. Recurrent apthous ulcer
2. Recurrent herpetic gingivitis
3. Acute necrotizing ulcerative gingivitis
4. Recurrent herpes labialis

Correct answer: 1. Recurrent apthous ulcer